In case, if maxillary canine is missing and we have to make a tooth supported FPD, abutment will be:
1. Central incisor, Lateral incisor and 1st premolar
2. Lateral incisor, 1st premolar, 2nd premolar
3. Lateral incisor and 1st premolar
4. It depends upon periodontal status of remaining teeth

Correct answer: 1. Central incisor, Lateral incisor and 1st premolar